Acute radiation sickness is characterised by:
1. Hematological symptoms
2. CNS symptoms
3. Gastrointestinal symptoms
4. All of the above

Correct answer: 4. All of the above

Explanation: Ans. All of the above